The parameters used to calculate MELD Score include all, EXCEPT:
1. Albumin
2. Creatinine
3. INR
4. Bilirubin

Correct answer: 1. Albumin

Explanation: Model for end stage liver disease score (MELD) used for assessing the need for liver transplantation. The variables used are INR, serum bilirubin and serum creatinine. Ref:Harrisons Principles of Internal Medicine, 18th Edition, Page 2526